Reverse CAMP test is positive for ?
1. Streptococcus agalactiae
2. Listeria manocytogenes
3. Clostridium perfringens
4. Vibrio parahemolyticus

Correct answer: 3. Clostridium perfringens

Explanation: Ans. is 'c' i.e.,Clostridium perfringens CAMP positive- Area of increased hemolysis (arrow head) around staphylococcus streaks (by streptococcus agalactiae).CAMP test is also positive in Listeria monocytogenes, Reverse CAMP test is positive in Clostridium perfringens.Reverse CAMP test : It is used to differentiate Cl perfringens from other Clostridia. CAMP positive group 'B' streptococcus is streaked in Blood agar and Cl perfringens is streaked perpendicular to it. There is enhanced hemolysis (arrowhead) between the growth of Cl.